The colour vision is governed by all of the following colour sensitive pigments EXCEPT:-
1. Porphyropsin
2. Transducin
3. Iodopsin
4. Cyanopsin

Correct answer: 2. Transducin

Explanation: The colour vision is governed by colour sensitive pigments-porphyropsin (red), iodopsin (green) and  cyanopsin (blue).
Reference: Satyanarayana- Biochemistry, 3rd edition, pg-122